A young man with TB presents with massive recurrent hemoptysis. For angiographic treatment which vascular structure should be evaluated first?
1. Pulmonary artery
2. Bronchial artery
3. Pulmonary Vein
4. Superior vena cava

Correct answer: 2. Bronchial artery

Explanation: Most common vessel responsible for the hemoptysis in TB, even in bronchitis, bronchogenic carcinoma is the bronchial artery. Bronchial artery angiography with embolization has become a mainstay in the treatment of hemoptysis. Major complications are rare and immediate clinical success defined as cessation of hemorrhage ranges in most series from 85% to 100%, although recurrence of hemorrhage ranges from 10% to 33%. Bronchial artery embolization offers a minimally invasive procedure for even the most compromised patient serving as first-line treatment for hemorrhage as well as providing a bridge to more definitive medical or surgical intervention focused upon the etiology of the hemorrhage.